Oral hairy leukoplakia is caused by ?
1. CMV
2. EBV
3. Kaposi sarcoma
4. Varicella zoster

Correct answer: 2. EBV

Explanation: Oral hairy leukoplakia is caused by EBV. EBV causes: - Infectious mononucleosis - Naso pharyngeal carcinoma - Burkitts lymphoma - Hodgkin's lymphoma / Non Hodgkin lymphoma - Tonsillar carcinoma - Oral hairy leukoplakia. (Refer to the image below) - Duncan syndrome. fig:- Oral hairy leukoplakia Other viruses in the options above are not associated with the Oral hairy leukoplakia.